All the following terms are used to describe bacterial chromosome Except
1. Haploid
2. Diploid
3. Nucleoid
4. Circular

Correct answer: 2. Diploid

Explanation: The NucleoidProkaryotes have no true nuclei; instead, they package their DNA in a structure known as the nucleoid. The nucleoid of most bacterial cells consists of a single continuous circular molecule ranging in size from 0.58 to almost 10 million base pairs.In bacteria, the number of nucleoids, and therefore the number of chromosomes, depending on the growth conditions. Rapidly growing bacteria have more nucleoids per cell than slowly growing ones; however, when multiple copies are present, they are all the same (ie, prokaryotic cells are haploid).Ref: Jawetz; 27th edition; Page no: 15